Mechanism of action of Orlistat used to treat obesity is which of the following?
1. Central reuptake inhibitor of both norepinephrine and serotonin
2. Intestinal lipase inhibitor
3. Central reuptake facilitator of serotonin
4. Intestinal amylase inhibitor

Correct answer: 2. Intestinal lipase inhibitor

Explanation: Sibutramine is central reuptake inhibitor of Noradrenaline and serotonin. Orlistat is a intestinal lipase inhibitor.